All are true regarding a renal pseudotumor except?
1. Frequently needs surgery
2. Hypertrophied column of Bertin
3. Dromedary hump
4. They have no clinical significance

Correct answer: 1. Frequently needs surgery

Explanation: Ans AA renal pseudotumour is a mass that will simulate a tumor on imaging but is composed of non-neoplastic tissue. They are often confused with renal neoplasms. Ususally left alone and no treatmemt is required.